Type 1 thyroplasty is for
1. Vocal cord shortening
2. Vocal cord lengthening
3. Vocal cord medialization
4. Vocal cord lateralization

Correct answer: 3. Vocal cord medialization

Explanation: Thyroplasty types Type I: It is medial displacement of vocal cord as in achieved in Teflon paste injection. Type II: It is lateral displacement of the vocal cord and is used to improve the airway. Type III: It is used to shorten the vocal cord. Relaxation of vocal cord lowers the pitch. This procedure is done in mutational falsetto or in those who have undergone gender transformation from female to male. Type IV: This procedure is used to lengthen the vocal cord and elevate the pitch. It coverts the male character to a female and has been used in gender transformation. Ref: Textbook of diseases of ENT, PL Dhingra, 7th edition, pg no. 341